Minimum Alveolar Concentration of sevoflurane in % is
1. 0.75
2. 0.42
3. 1.15
4. 2

Correct answer: 4. 2

Explanation: Minimum alveolar concentration is defined as alveolar concentration of an inhaled anesthetic agent that prevents movement in 50% of patients in response to a standardized surgical stimulus. Low MAC - High potency MAC values of adult Halothane : 0.75 Sevoflurane : 2.0 Isoflurane : 1.2 Desflurane : 6.0 Enflurane : 1.7